Toxic shock syndrome is Staphylococcus infection is due to -
1. Superantigen
2. Alpha-hemolysis
3. Coagulase
4. Penton Valentine factor

Correct answer: 1. Superantigen

Explanation: Ans. is 'a' i.e., Superantigen